CD marker of Angiosarcoma is?
1. CD 10
2. CD 19
3. CD 25
4. CD 31

Correct answer: 4. CD 31

Explanation: Robbins basic pathology 9th edition page no 362 Table:morphology The endothelial origin can be demonstrated in the poorly diffrentiated tumors by staining for the endothelial cell markers CD31 and von Wilebrand factor